Which micronutrient supplement should be administered during an acute episode of diarrhea?
1. Iron
2. Copper
3. Calcium
4. Zinc

Correct answer: 4. Zinc

Explanation: Ghai Essential Pediatrics 8th edition Page 295 Zinc supplementation is now part of the standard care along with ORS in children with acute diarrhoea. It is helpful in decreasing severity and duration of diarrhoea and also risk of Persistent diarrhoea . Zinc is recommended to be supplemented as sulphate, acetate or gluconate formation at a dose of 20 mg of elemental zinc per day for children more than 6 months for a period of 14 days